HACEK group includes all except -
1. Haemophilus aphrophilus
2. Acinetobacter baumannii
3. Eikenella corrodens
4. Cardiobacterium hominis

Correct answer: 2. Acinetobacter baumannii